Regarding pleomorphic adenoma of salivary gland true statement (s) is /are
1. Parotid gland is most commonly involved
2. Malignant transformation does not occur
3. Also called adenolymphoma
4. More commonly found in Men than Women

Correct answer: 1. Parotid gland is most commonly involved

Explanation: Eighty percent salivary neoplasms are in the parotids of which 80% are benign.Pleomorphic adenoma is more common in parotids(80%).It is more common in females in a ratio of 3:1.It is also called as mixed salivary tumour.Malignant transformation can occur in 3-5% in early tumours and 10% in long duration tumours.(15 or more years).Adenolymphoma is Warthin 's tumour. SRB,5th,414